Primary Health Care includes all, except?
1. Treatment is done by a doctor
2. Equitable distribution
3. Intersectoral coordination
4. appropriate technology

Correct answer: 1. Treatment is done by a doctor

Explanation: Ans. is 'a' i.e., Treatment by doctor Primary heath care o "Primary health care is essential health care made universally accessible to individuals and acceptable to them, through their full participation and at a cost the community and country can afford." o There are 4 main principles of primary health care : 1. Equitable distribution Community participation intersectorial coordination Appropriate technology o Primary health care involves: health care of mother and child, immunization, prevention and control of locally endemic diseases, as well as appropriate treatment of common diseases and injuries. However, it is not essential to deliver these elements throught the agencies of doctors under the primary health care. Root level workers, such as village health guides. are appropriately trained to deliver these elements, at the village level.